Stages of anaesthesia was described by:-
1. WTG Moon
2. Oliver wendel homes
3. John snow
4. Guedel

Correct answer: 4. Guedel